Unilateral clefts are more common on
1. Left side
2. Right side
3. Median
4. None of the above

Correct answer: 1. Left side

Explanation: Distribution of cleft lip and cleft palate In unilateral cleft lip the deformity affects left side in 60% cases Typical distribution of cleft types Cleft lip alone :15% Cleft lip & palate :45% (MC) Isolated cleft palate :40% Ref: Sabiston 20th edition Pgno :1946-1947